Each of the following can cause hypoglycemia Except
1. Beta blockers
2. Hepatoma
3. Pituitary insufficiency
4. Multiple endocrine neoplasia (MEN) syndrome, type II

Correct answer: 4. Multiple endocrine neoplasia (MEN) syndrome, type II

Explanation: Hypoglycemia can occur in MEN I (Wermer's syndrome), which includes islet cell tumours as well as hyperparathyroidism and pituitary adenomas.Hypoglycemia is not a complication of MEN II (Sipple's syndrome), characterized by hyperparathyroidism, medullary carcinoma of the thyroid, and pheochromocytoma.Beta blockers, sulfonylureas, insulin, salicylates, and alcohol can cause hypoglycemia.Hepatomas and other extrapancreatic tumours may provoke hypoglycemia through unknown mechanisms.Hypoglycemia may occur in pituitary insufficiency as a result of the absent or reduced secretion of growth hormone and ACTH. In many adults, however, hypoglycemia can be prevented by glucocorticoid replacement alone.Hypoglycemia occurs in some patients with chronic renal failure. One suggested cause is that marked muscle wasting reduces the availability of alanine from muscle for use by the liver and kidney in gluconeogenesis.